A normal-anion-gap metabolic acidosis occurs in patients with :
1. Diarrhoea
2. Diabetic ketoacidosis
3. Methyl alcohol poisoning
4. Acute renal failure

Correct answer: 1. Diarrhoea

Explanation: Answer is A (Diarrhea): The differential diagnosis of normal anion gap acidosis : Hyperalimentation Acetazolamide and other carbonic anhydrase inhibitors Renal tubular acidosis Diarrhea: due to a loss of bicarbonate. Ureteroenteric fistula Pancreaticoduodenal fistula Spironolactone